Joule burn is seen in:-
1. Blast injuries
2. Electrocution
3. Firearm wounds
4. Lightning stroke

Correct answer: 2. Electrocution

Explanation: JOULE BURNS ARE SPECIFIC AND DIAGNOSTIC OF CONTACT WITH ELECTRICITY Joule burn Joule burns, also known as electrical burns which is specific and diagnostic of electric burns These are endogenous thermal burns which are due to the heat generated in the body from electricity SITE : At the point of entry, When current flows through body the flexor muscles go into spasm, any object held in the hand involunatarily clenched that may be live wire or source of electricity and current continues to flow, known as "HOLD-ON EFFECT"